All are true about meningiomas except -
1. Meningiomas are predominantly benign tumors of adults
2. They arise from the meningothelial cell of the arachnoifd)
3. They are attached to pia mater
4. Occur in association with eighth nerve schwannomas

Correct answer: 3. They are attached to pia mater

Explanation: Ans. is 'c' i.e.. They are attached to pia matterMeningiomas are amont the most frequent primary brain tumors.o Although most meningiomas ae benign, their location in the central nervous system can cause serious morbidity or mortality.Clinical presentationo Meningiomas can arise anywhere from the dura most commonly within the skull and at sites of dural reflection (Falx cerebri, fentorium cerebelli, venous sinuses). Other less common sites include the optic nerve sheath and choroid plexus; approximately 10 percent arise in the spine. Very rarely, menningiomas can arise at extradural sites.o Symptoms from a mengioma are determined by the location of the mass and by the time course over which the tumor develops.o Meningioma frequently are extremely slow growing and often are asymptomatic.Asymptomatic tumorso Many meningiomas are asymptomatic or minimally symtomatic, and are discovered incidentlally on a neutroimaging study or at autopsy.Seizureso Seizures are present preoperatively in 25 to 40 percent of patients who are diagnosed with an intracranial meningioma.Focal findingso Characteristic focal deficits are caused by tumors in specific locations.MeningiomaVisual changesHearing lossMental statusExtremityObstructiveSpontaneous changesweaknesshydrocephalyhemorrhage